All of the following conditions require administration of GnRH agonist in a non-pulsatile manner except ?
1. Male infertility
2. Prostate cancer
3. Endometriosis
4. Precocious puberty

Correct answer: 1. Male infertility

Explanation: Usage of GnRH agonists : Pulsatile GnRH agonist Non pulsatile (continuous) GnRH agonist Delayed puberty Ovulation induction Kallmann's syndrome Male infertility Endometriosis Hirsutism Uterine fibroids Central precocious puberty Prostate cancer Breast and ovarian cancer Note : Non-pulsatile administration of GnRH agonist is not useful in male infertility.